Pseudo pocket is seen in the
1. Base of the pocket lies on cementum
2. Gingivitis
3. Periodontitis
4. Base of the pocket and lies on alveolar bone

Correct answer: 2. Gingivitis